Dermatitis herpetiformis is associated with:
1. Glucagonoma
2. Gastrinoma
3. Celiac sprue
4. All of the above

Correct answer: 3. Celiac sprue

Explanation: Ans. C: Celiac sprue Etiology of dermatitis herpetiformis: Gluten sensitive enteropathy is always associated and probably responsible for skin lesions DH: Patients have an associated, usually subclinical gluten sensitive enteropathv More than 90% express HLA-B8/ DRW3 and HLA-DQW2 Direct immunofluorescence microscopy of normal appearing perilesional skin demonstrate granular deposits of IgA DOC (drug of choice): Dapsone